Keratinising metaplasia of salivary glands results due to deficiency of
1. Vitamin A
2. Thiamine
3. Riboflavin
4. Vitamin E

Correct answer: 1. Vitamin A

Explanation: Vitamin A deficiency produces keratinizing metaplasia of the normally columnar ductal epithelium in the major and minor salivary glands.
Ref : Handbook of Experimental  Stomatology,edited by Samuel Dreizen, Barnet M. Levy.